Which of the following drugs is used as an immunosuppressive but lacks anticancer activity
1. Methotrexate
2. 6-mercaptopurine
3. Azathioprine
4. 5-flurouracil

Correct answer: 3. Azathioprine

Explanation: Ref-KDT 6/e p819,820,838 Azathioprine is an an antimetabolite that is used as an immunosuppressant but not as an antineoplastic drug. It is a product and this converted to its active metabolite in the Lymphoid Cells only